True statement about female genital tuberculosis :
1. Genital tract involvement results only from lymphatic spread
2. Postmenstrual histopathological examination is diagnostic
3. Polymerase chain reaction (PCR) techniques have got higher sensitivity in detection
4. Reproductive outcome following antituberculous chemotherapy is satisfactory

Correct answer: 3. Polymerase chain reaction (PCR) techniques have got higher sensitivity in detection

Explanation: Modes of spread: hematogeneous,lymphatic,ascending Diagnostic uterine curettage done during the week preceding menstruation. Histology detects TB in 10% cases only following chemotherapy pregnancy is rare(5-10%) ,and if occurs ectopic is more D.C.DUTTA'S TEXTBOOK OF GYNAECOLOGY,Pg no:143,6th edition